Ovarian follicles at birth in ovary are
1. 2 million
2. 7 million
3. 10 million
4. 20 million

Correct answer: 1. 2 million

Explanation: An ovarian follicle is a roughly spheroid cellular aggregation set found in the ovaries. It secretes hormones that influence stages of the menstrual cycle. Women begin puberty with about 200,000 to 400,000 follicles, each with the potential to release an egg cell (ovum) at ovulation for fertilization. These eggs are developed only once every menstrual cycle.Ref: Ganong's review of medical physiology;24th edition; page no:-403